In which of the following condition does pseudoclaudication occur?
1. Femoral Artery stenosis
2. Popliteal Artery stenosis
3. Lumbar Canal stenosis
4. Radial Artery stenosis

Correct answer: 3. Lumbar Canal stenosis

Explanation: Lumbar spinal stenosis is defined as narrowing of the spinal canal, its lateral recesses, and neural foramina that results in a compression of lumbosacral nerve roots. The hallmark of spinal stenosis is bilateral pseudoclaudication. It is induced by standing or walking and is relieved by sitting or flexing forward. Pedal pulses are preserved, symptoms are provocated by standing and walking, and maximal discomfort is in the thighs rather than the calves. Ref: CURRENT Rheumatology Diagnosis and Treatment, 2nd Edition, Chapter 10